Which vitamin deficiency is caused by eating large quantities of raw eggs
1. Vitamin H
2. Vitamin C
3. Vitamin B5
4. Vitamin B6

Correct answer: 1. Vitamin H

Explanation: Biotin (Vitamin B7) is also called vitamin H. Raw eggs contain avidin which binds with biotin and inhibits it. When egg is boiled / cooked avidin is denatured and binding to biotin is reduced.